Nucleus pulposus is seen in
1. Intervertebral disc
2. Medical meniscus
3. Brain
4. Vestibulo cochlear region

Correct answer: 1. Intervertebral disc

Explanation: (Intervertebral disc) (210-BDC-1 6th edition) (689-snell 9th edition)* The intervertebral disc is made up of a peripheral annulus fibrosus and a central nucleus pulposus* The physical characteristics permit them to serve as the shock absorbers* No discs are found between the first two cervical vertebrae or in the sacrum or coccyx* Laminae are connected by ligament flava* Spines are connected together by interspinous ligament and the ligamentous nuchae (represents the supra spinous ligament). The ligament gives origin to the splenius rhomboid and trapezius muscle* The intervertebral disces form about one quarter the length of the colomn* Discs are thickest in the lumber region* The most characteristic feature of the thoracic vertebrae is the body has costal facetsStructure of an intervertebral disc, (a) Superior view, (b) arrangement of laminae, and (c) vertical section